Kala-Azar is found in all endemic areas except
1. West Bengal
2. UP
3. Bihar
4. Assam

Correct answer: 4. Assam

Explanation: UP , West Bengal Bihar And Jharkhand are the endemic states of kala Azar ref: park text book 21st ed.